Village Health Nutrition Day is observed -
1. Every week
2. Every month
3. Every 6 month
4. Every year

Correct answer: 2. Every month

Explanation: Ans. is 'b' i.e., Every month * The Village-Health and Nutrition day (VHND) is to be organised once in every month on a fixed day (such as second Saturday).* The day can be decided by the VHWSC (village health and water sanitation committe) in each village at anyone of the Anganwadi centres (AWCs) in that village, preferably, all the AWCs should be covered by rotation.* On that day, Anganwadi worker and other VHWSC members will mobilize villagers to assemble in AWC.* Services to be provided during VNHDs are -# All pregnant women are to be registered on that day if they have not been previously registered.# Ensure all registered pregnant women are given ANC.# Dropout pregnant women for ANC are traced and services provided# Ensure Registration of all newborns# Ensure all eligible children below one year are given vaccine against six vaccine preventable diseases.# All drop out children who have not received vaccines as per schedule are to be vaccinated in the presence of mobile medical unit in the remote villages visited by Mobile Medical Unit. In other areas the unimmunized children are to be motivated to attend the catch up session at PHC.# Vitamin A solution to be administered.# Ensure all children are weighed, weight plotted on card and managed appropriately for taking care of malnutrition.# Ensure TB patients are taking drugs as per schedule and trace the defaulters and take necessary action.# IUD insertion# Ensure Depot holders have sufficient quantity of Condoms and Oral Contraceptives (OCPs)# Supplementary nutrition advice to be provided to under weight children.# Distribution of IFA tablets to AN mothers, adolescent girls and children.